If a region or compartment is in a steady state with respect to a particular substance, then:
1. The amount of the substance in the compartment is increasing
2. The amount of the substance in the compartment is decreasing
3. The amount of the substance in the compartment does not change with respect to time
4. There is no movement into or out of the compartment

Correct answer: 3. The amount of the substance in the compartment does not change with respect to time

Explanation: Ans. C. The amount of the substance in the compartment does not change with respect to timeIn a steady state, the amount or concentration of a substance in a compartment does not change with respect to time. Although there may be considerable movements into and out of the compartment, there is no net gain or loss. Steady states in the body often do not represent an equilibrium condition, but they are displaced from equilibrium by the constant expenditure of metabolic energy.